Most commonly used for protein utilization -
1. NPU
2. Amino acid score
3. Biological value
4. Protein efficiency ratio

Correct answer: 1. NPU

Explanation: -net protein utilisation: it is a product of digestibility coefficient and biological value divided by 100. - NPU= nitrogen retained by the body * 100/ nitrogen intake. Reference : Park's textbook of preventive and social medicine, 23rd edition, pg no:634